Hallucinations which occur at the 'start' of sleep is :
1. Hypnagogic hallucinations
2. Hypnopompic hallucinations
3. Jactatio nocturna capitis
4. Non - specific hallucination

Correct answer: 1. Hypnagogic hallucinations

Explanation: A. i.e. Hypnagogic hallucinations